A 70 year old male , known case of chronic renal failure suffers from a pathological fracture of Rt femur, the diagnosis is
1. Primary Hrperparathyroidism
2. Secondary Hyperparathyroidism
3. Scurvy
4. Vitamin D Resistant rickets

Correct answer: 2. Secondary Hyperparathyroidism

Explanation: Answer- B. Secondary HyperparathyroidismIn CRF there is secondary hyperparathyroidism which causes pathological fracture.